Which of the following is a potassium channel opener?
1. Nicorandil
2. Ranolazine
3. Ivabradine
4. Nitroprusside

Correct answer: 1. Nicorandil

Explanation: Ans. (A) Nicorandil(Ref: Harrison 12th/1862)Nicorandil is the agent that causes coronary dilation by activating myocardial ATP sensitive K+ channels. Inaddition it possesses NO releasing property; to which tolerance does not develop.